Ototoxic drugs generally affect the hearing of what frequencies of sound
1. 500-1000 Hz
2. 2000-3000 Hz
3. 3000-4000 Hz
4. 4000-5000 Hz

Correct answer: 4. 4000-5000 Hz

Explanation: Ototoxic drugs affect hearing at a range of 4000-6000kHz. Most common drugs include aminoglycoside such as Gentamycin (Ref: The EAR comprehensive ontology by Rinaldo and Paul.)